Twin pregnancy predisposes to :
1. Hydramnios
2. Pregnancy induced hypertension
3. Malpresentation
4. All of the above

Correct answer: 4. All of the above

Explanation: All of the above